A 55 year old male, with uncontrolled diabetes mellitus and hypertension, developed severe air-borne contact dermatitis. The most appropriate drug for his treatment would be –
1. Systemic corticosteroids
2. Thalidomide
3. Azathioprine
4. Cyclosporine

Correct answer: 3. Azathioprine

Explanation: Treatment of Allergic contact dermatitis


Topical corticosteroids in combination with oral antihistaminics are effective in most cases.
Extensive contact dermatitis may require treatment with a short course of oral corticosteroids.
In air-borne contact dermatitis, azathioprine may be effective.

As corticosteroids are contraindicated in patients with DM and hypertension, best option here would be azathioprine